A patient on total parenteral nutrition for 20 days presents with weakness, vertigo and convulsions. Diagnosis is:
1. Hypomagnesemia
2. Hyperammonemia
3. Hypercalcemia
4. Hyperkalemia

Correct answer: 1. Hypomagnesemia